Denileukin diftitox binds to :
1. IL-1
2. IL-2
3. IL-4
4. IL-5

Correct answer: 2. IL-2

Explanation: Denileukin diftitox binds to IL-2 receptors on CD8 cells and causes death of the cells by diptheria toxin.
It is used in the treatment of Cutaneous T-cell lymphoma.